All are true about warfarin except
1. It inhibits the activation of vitamin K dependent clotting factors
2. It's half life is 36hrs
3. It can cross placenta
4. It's dose is increased in liver disease

Correct answer: 4. It's dose is increased in liver disease

Explanation: Refer Katzung 11/e p595 Warfarin is an oral anticoagulant that acts by inhibiting the gamma carboxylation of glutamate residues in vitamin K dependent clotting factors It has a long half life It readily crosses the placenta Liver disease reduces the synthesis of clotting factors thus increases the effect of warfarin